The skin overlying the region where a venous "cut-down" is made to access the Great saphenous vein is supplied by -
1. Femoral nerve
2. Sural nerve
3. Tibial nerve
4. Superficial peroneal nerve

Correct answer: 1. Femoral nerve

Explanation: Great saphenous vein on its course is accompanied by saphenous nerve which is a branch of femoral nerve.